Most common malignancy after cholecystectomy is of
1. Colon
2. Stomach
3. Pancreas
4. Ileum

Correct answer: 1. Colon

Explanation: Bile acids can induce hyperproliferation of the intestinal mucosa a number of intracellular mechanisms Cholecystectomy, which alters the enterohepatic cycle of bile acids, has been associated with a moderately increased rise of proximal colon cancers It cannot be ruled out, however, that it is less the effect of the cholecystectomy than the impact of other, not yet identified factors in the lithogenic bile of such patients A number of cofactors have been identified that may enhance or neutralize the carcinogenic effects of bile acids, e.g., the amount of dietary fat, fibre or calcium Calcium, in fact, binds bile acids and this may reduce their negative impact Ref: Maingot 11th edition Pgno : 628